Patients with organic heart disease in pregnancy most commonly die during:
1. 20-24 weeks of pregnancy
2. First stage of labor
3. Soon following delivery
4. Two weeks postpartum

Correct answer: 3. Soon following delivery

Explanation: Ans. is c, i.e. Soon following deliveryRef. Dutta Obs 7/e, p 225This is another way of asking, cardiac failure occurs most common at what time as the M/C cause of death in pregnant females with heart disease is congestive heart failure.